Final product in alginate is?
1. Sodium alginate
2. Potassium alginate
3. Trisodium phosphate
4. Calcium alginate

Correct answer: 4. Calcium alginate